'POTABLE WATER' is one which:
1. Is safe drinking
2. Can be carried from one place to another
3. Found within 5 meters within the surface of earth
4. None of the above

Correct answer: 1. Is safe drinking